Incidence of cord prolapse is least in:
1. Frank breech
2. Footling presentation
3. Transverse lie
4. Brow presentation

Correct answer: 1. Frank breech

Explanation: The incidence of cord prolapse in in flexed breech is 6% and in footling is 12%.In extended breech it is only 0.5% which is not much higher than in vertex.(0.4%). Ref.pg.375 Sheila Textbook of Obstetrics 2nd edition.